In Hutchinson's triad in newborn child, what is not seen?
1. Interstitial keratitis
2. Notched incisors
3. Deafness
4. Cataracts

Correct answer: 4. Cataracts

Explanation: Cataracts REF: Harisson's 18`11 ed chapter 169 Hutchinson's triad is named after Sir Jonathan Hutchinson (1828-1913). It is a common pattern of presentation for congenital syphilis, and consists of three phenomena: interstitial keratitis, Hutchinson incisors, and eighth nerve deafness